Most common intra abdominal solid organ tumor in child is ?
1. Neuroblastoma
2. Rhabdomyoblastoma
3. Wilm's tumor
4. Hypernephroma

Correct answer: 1. Neuroblastoma

Explanation: Ans. is 'a' i.e., Neuro blastoma